Slow waves are generated by:
1. Myentric neurons
2. Smooth muscle
3. Interstitial cells of cajal
4. Parasympathetic neurons

Correct answer: 3. Interstitial cells of cajal

Explanation: ANS. C* Slow waves are the oscillating membrane potential between -60 and -40 mv in smooth muscle of GI smooth muscle.* They are also called basal electric rhythm (BER)* BER is maximum at duodenum (12/minute) and minimum at ileum (2/min)* Acetyl choline increases BER and adrenergic stimulation decreases BER* Another topic asked in last November AIIMS 2016 was regarding migratory motor complex.* Migratory motor complex in the gut are initiated by motilin.* The contractions migrate at a rate of 5 cm/min and also occur at intervals of approximately 90 min.* Migrating motor complex (MMC) appear during fasting and are inhibited by meal.* When a meal is taken, motilin is supressed and MMC is abolished.* Gastric secretion, bile flow and pancreatic secretion increase during each MMC.